Temporal lobe contains ?
1. Primary visual area
2. Primary auditory area
3. Broca's area
4. Prefrontal area

Correct answer: 2. Primary auditory area

Explanation: Functional areas of cerebral cortexFrontal lobe Parietal lobeOccipital lobeTemporal lobe contains :- i) Primary auditory area (areas 41, 42): Located in the anterior part of transverse temporal gyri of Heschl, and posterior part of superior temporal gyms.ii) Auditory association cortex (secondary auditory area or area 22) : It also includes Wernick's speech and is located in the posterior part of superior temporal gyrusOccipital lobe